Case control study is an example of ?
1. Prospective study
2. Retrospective study
3. Combined retrospective and prospective study
4. Study at one point of time

Correct answer: 2. Retrospective study

Explanation: Ans. is 'b' i.e., Retrospective study